Masson bodies are seen in:
1. Usual interstitial pneumonia
2. Non-specific interstitial pneumonia
3. Cryptogenic Organizing Pneumonia
4. Hyaline membrane disease

Correct answer: 3. Cryptogenic Organizing Pneumonia

Explanation: Masson bodies is characterized by involvement of alveolar space. Alveolar space & bronchioles have collection of Fibroblast. It is seen in patient with Cryptogenic Organizing Pneumonia. Cryptogenic organizing pneumonia aka bronchiolitis obliterans organizing pneumonia. Usual interstitial pneumonia - associated with Idiopathic pulmonary fibrosis .